A 10-year-old child reports with Loss of primary lower 2nd molar. His occlusion is normal. The clinician should:
1. Construct suitable RPD
2. Place a functional space maintainer
3. Make a distal-shoe space maintainer
4. Base his choice of treatment upon X-ray findings

Correct answer: 4. Base his choice of treatment upon X-ray findings